All of the following muscles are derivatives of para axial mesoderm except-
1. Masseter
2. diaphragm
3. biceps femoris
4. detrusor

Correct answer: 4. detrusor

Explanation: Para axial (somite) derivatives- dermatome (lateral part)- skin dermis myotome (middle part)- skeletal muscles sclerotome (medial part)- bone (vertebrae, occipital skull bone) option 1,2 and 3 are skeletal muscles. Detrusor is a smooth muscle of genitourinary system derived from intermediate mesoderm.